Which of the following drug causes hirsutism?
1. Phenytoin
2. Valproate
3. Carbamazepine
4. Phenobarbitone

Correct answer: 1. Phenytoin

Explanation: Ans. is 'a' i.e., Phenytoin Adverse effect of phenvtoinAt therapeutic levelAt high plasma levela) Hypertrophy of gum-commonest* in 20%a) Cerebellar and vestibular manifestationb) Hirsutism, coarsening of facial features*o Ataxia*c) Hypersensitivity reactions, these include*-o Vertigoo Rasheso Diplopiao DLEo Nystagmuso Lymphadenopathyb) Epigastric pain, vomiting, nauseao Neutropeniac) LV. Injection causes local vascular injuryd) Hyperglycemia*-it inhibits release of insulind) Fall in B.P.* and cardiac arrythmiase) Hydantoin syndrome*-(fetal)e) Drowsiness & mental contusionsf) Megaloblastic anemia*